CAGE scale is used in:
1. Alcohol Abuse
2. Depression
3. Suicidal intention
4. Coma

Correct answer: 1. Alcohol Abuse

Explanation: CAGE scale: it ranges from 0 to 4 depending on the number of problem drinking indicators endorsed, with higher scores reflecting more severe problem drinking patterns. Acronym CAGE Questions: C - Have you ever felt you ought to Cut down on your drinking? A - Have people Annoyed you by criticizing your drinking? G - Have you ever felt Guilty or bad about your drinking? E - Have you ever had a drink first thing in the morning to steady your nerves or get rid of a hangover (Eye-opener)? One "yes" response should raise suspicion of an alcohol use problem and more than one is a strong indication that abuse or dependence exists.